Which technique of instrument grasp is mostly used for tooth preparations employing the lingual approach on anterior teeth?
1. Modified pen grasp
2. Inverted pen grasp
3. Palm and thumb grasp
4. Modified palm and thumb grasp

Correct answer: 2. Inverted pen grasp